Which is example of the Simple Myopic Astigmatism among the prescriptions given below:
1. Rx (+) sphere
2. Rx will be plano (-)
3. Rx will be (-) sphere
4. (-)(+) (+)(-) on both 90 and 180 degree axis

Correct answer: 2. Rx will be plano (-)

Explanation: * When eyewear prescriptions are written, they can be classified into different areas depending on the power or refractive error. * There are seven categories to which prescriptions can fall: 1. Simple Hyperopia, the Rx will be (+) sphere 2. Simple Myopia, the Rx will be (-) sphere 3. Simple Myopic Astigmatism, the Rx will be plano (-) 4. Simple Hyperopic Astigmatism, the Rx will be (+) 5. Compound Hyperopic Astigmatism, major meridian power will be (+) (+) on both 90 and 180 degree axis 6. Compound Myopic Astigmatism, major meridian power will be (-) (-) on both 90 and 180 degree axis 7. Mixed Astigmatism, major meridian powers will be opposites (-)(+) (+)(-) on both 90 and 180 degree axis REF : AK KHURANA 7TH ED